Which is bilateral tumour:-
1. Dysgerminoma
2. Immatureteratoma
3. Endodermal sinus tumur
4. Embryonal cell carcinoma

Correct answer: 1. Dysgerminoma

Explanation: In the choices of this question, all tumors are of Germ Cell origin. Germ Cell tumors are Mostly Unilateral eg, The endodermal sinus tumour is unilateral in 100% of cases However, dysgerminoma can have 10-15 % bilaterality & teratoma are bilateral in 15% of patients The Epithelial tumors of the ovary are the most common Ovarian tumors and these are bilateral mostly